Duraphat is:
1. Lacquer
2. Sodium Fluoride in varnish form
3. Stannous Fluoride
4. Sodium Fluoride 2%

Correct answer: 2. Sodium Fluoride in varnish form